When instead of interdental bone, adjacent tooth is used as Fulcrum, this is seen in:
1. Stobie's extraction.
2. Wilkinson extraction.
3. Serial extraction.
4. Balancing extraction.

Correct answer: 1. Stobie's extraction.

Explanation: In Stobie's extraction two teeth are luxated simultaneously.